In posterior dislocation of hip,whole limb is rotated
1. Laterally
2. Medially
3. Medially rotated + extension
4. Laterally rotated + extension

Correct answer: 2. Medially